Extraintestinal manifestations of Inflammatory bowel disease include all of the following, Except:
1. Uveitis
2. Sclerosing cholangitis
3. Osteoarthritis
4. Skin nodules

Correct answer: 3. Osteoarthritis

Explanation: Answer is C (Osteoarthritis): Osteoarthritis is not an extraintestinal manifestation of inflammatory bowel disease Uveitis, Sclerosing Cholangitis, and skin nodules (Erythema nodosum) are all recognized extraintestinal manifestations of inflammatory bowel disease.